Immune privilege site is?
1. Seminiferous tubule
2. Optic nerve
3. Area postrema
4. Spinal canal

Correct answer: 1. Seminiferous tubule

Explanation: Ans. (a) Seminiferous tubulesIn testis, there occurs segregation of antigens in the seminiferous tubules from immune cells in the interstitial space by a layer of Sertoli cells connected by impermeable tight junctions which form a blood-testis barrier.High Yield FactsImmune-privileged sites: QTestis, eye and brain QTissues in which these antigens are located do not ommunicate with the blood and lymphDifficult to induce immune responses to antigens introduced into these sitesProlonged tissue inflammation on injury & release of antigen from these sites: post-traumatic orchitis & uveitis Q